Sentinel lymph node biopsy is most useful for which of the following gynecological malignancies:
1. Carcinoma endometrium
2. Carcinoma cervix
3. Carcinoma vulva
4. Carcinoma vagina

Correct answer: 3. Carcinoma vulva

Explanation: Ans. C. Carcinoma vulvaVulvar carcinoma is the most promising site for sentinel lymph node biopsy strategy. Studies suggest that a sentinel node can be identified in most patients. Sentinel node is always located in the groin making vulva an ideal site for sentinel node biopsy'. 'The detection of SLN is currently a standard component of the surgical treatment of malignant melanoma, breast cancer and is a promising staging technique for patients with vulvar cancer. In cervical cancer SLN mapping is more recent and preliminary studies indicate that it may be a feasible technique' - 'Trends in Cervical Cancer' by Varaj Sentinel Lymph Node (SLN) Biopsy for Gynaecological Malignanciesa. The sentinel lymph node is defined as the first draining lymph node to receive lymphatic drainage from the tumor site. A negative sentinel lymph node would thus predict the absence of lymph node metastasis in the entire draining basin.b. Sentinel lymph node evaluation in female genital tract cancers is relatively new and a number of promising studies are under evaluation.c. The concept has shown most promising results in vulvar cancer followed by cervical cancer.d. (SLN is however not yet accepted as a standard procedure for either of these). For endometrial cancer the concept of sentinel lymph node biopsy has been studied by small studies and requires further larger studies. Results from current studies are favorable but not to the same extent as vulvar and cervical cancers.e. For vaginal cancer the concept of sentinel lymph node biopsy is very new and studies are limited mainly to case reports.